Anterior Choroidal artery is a branch of which of the following?
1. Retinal artery
2. External carotid artery
3. Internal carotid artery
4. Middle meningeal artery

Correct answer: 3. Internal carotid artery

Explanation: After piercing the dura mater forming the roof of the cavernous sinus, the internal carotid artery gives off three large branches. These are the following: (i) Ophthalmic artery, (ii) Anterior, and (iii) Middle cerebral arteries to the brain. It also gives off two smaller branches that take part in supplying the brain: these are the (iv) Posterior communicating artery and the (v) Anterior choroidal artery. Ref: BD Chaurasia's HUMAN ANATOMY, Volume 3, 4th edition